POCUS is related to which imaging modality?
1. X-ray
2. Ultrasound
3. CT
4. MRI

Correct answer: 2. Ultrasound

Explanation: POCUS is ultrasound that's done at the bedside - it's taking the machine and clinician to the patient in the context of clinical care. It is being increasingly used for COVID-19 patients to do ultrasound of CHEST. Typical features of COVID-19 on USG chest are B-lines and sub-pleural consolidation.